Insulin secretion is normally stimulated by -
1. GLP-1
2. GLP-2
3. VIP
4. a-adrenergic receptors

Correct answer: 1. GLP-1

Explanation: Ans. is 'a' i.e., GLP-1 ) as an additional gut factor for insulin secretion and GLP-1 (7-36) is more potent tnsulinotropic hormone.Regulation of insulin secretiono Factors affecting insulin secretion are : -Simulating insulin secretion :- Glucose; Mannose; Amino acids (arginine, leucine); Intestinal hormones (G1P, Gastrin. Secretin, CCK, GLP -1); b-keto acids; Parasympethetic stimulation (acetylcholine); cAMP; b-adrenergic stimulation; theophylline; Sulfonylureas; and certain endocrine hormones like growth hormone. Glucagon and glucocorticoids.Inhibiting insulin secretion : - Somatostatin; 2-deoxyglucose; mannoheptulose; a-adrenergic stimulation, b-adrenergic inhibitors; galanin; Diazoxide; Thiazide diuretics; K+- depletion; Phenytoin; Alloxan; microtubule inhibitors; and insulin itself.